A 16-year-old girl was on anti-epileptic for treatment of focal seizure episodes while asleep. She has had no seizure for last 6 months. NCCT and EEG is normal. What is the further management?
1. Stop treatment
2. Continue for 2 years
3. Lifelong treatment
4. Stop treatment and follow up with 6 monthly EEG

Correct answer: 2. Continue for 2 years

Explanation: AED is withdrawn after 2 years in a patient who meets following criteria: Complete medical control for 1-5 years Single seizure type (eg focal /GTCS) with adequate control. Normal neurological examination Normal cognition, Normal EEG Juvenile myoclonic epilepsy (JME) also occurs in adolescent age group but the seizures occurs after awakening and are usually myoclonic jerks or GTCS. Some have absence seizures but focal seizures are not seen in JME. AED should not be stopped immediately as it will lead to rebound epilepsy